Use of nitrous oxide is contraindicated in all of the following surgeries, EXCEPT:
1. Tympanic membrane grafting
2. Pneumoencephalography
3. Vitreoretinal surgery
4. Exenteration operation

Correct answer: 4. Exenteration operation

Explanation: Conditions in which nitrous oxide might be hazardous include, Air embolism Pneumothorax Acute intestinal obstruction Intracranial air (tension pneumocephalus following dural closure or pneumoencephalography) Pulmonary air cysts Intraocular air bubbles Tympanic membrane grafting Ref: Morgan, Jr. G.E., Mikhail M.S., Murray M.J. (2006). Chapter 7. Inhalation Anesthetics. In G.E. Morgan, Jr., M.S. Mikhail, M.J. Murray (Eds), Clinical Anesthesiology, 4e.